A boy complained of unprovoked bite by a local dog in the community. The dog was later caught by the local animal authorities and appeared to the healthy. The most appropriate course of action would be:
1. Give post-exposure prophylaxis to the bitten person with cell-culture derived vaccine
2. Withhold vaccination, keep the dog under observation for ten days for signs of rabies
3. Test the dog for rabies antibodies
4. Immediately carry out euthanasia of the dog

Correct answer: 1. Give post-exposure prophylaxis to the bitten person with cell-culture derived vaccine

Explanation: The boy should be treated irrespective of the condition of the dog with PEP including vaccination and local wound treatment, Immunoglobulins may be used in Category 3 bite. The dog should be observed for 10 days, and if the dog remains healthy throughout the period, PEP may be discontinued. However, PEP should NOT be withheld.